A 35-year-old G3P3 with a Pap smear showing high-grade squamous intraepithelial lesion of the cervix (CIN III) has an inadequate colposcopy. Cone biopsy shows squamous cell cancer that has invaded only 1 mm beyond the basement membrane. There are no confluent tongues of tumor, and there is no evidence of lymphatic or vascular invasion. The margins of the cone biopsy specimen are free of disease. What is your Diagnosis?
1. Carcinoma of low malignant potential
2. Microinvasive cancer
3. Atypical squamous cells of undeermined significance
4. Carcinoma in situ

Correct answer: 2. Microinvasive cancer

Explanation: Microinvasive carcinoma of the cervix Invasion depth limited to no greater than 5 mm , Not visible to Naked eye. Stage I Limited to Cervix IA : Microscopic cancer IA1 :Stromal invasion <3 mm in depth IA2 :Stromal invasion 3 mm-5 mm in depth